Serum amyloid associated protein, found in-
1. Alzheimer's disease
2. Chronic inflammatory states
3. Chronic renal failure
4. Malignant hypertension

Correct answer: 2. Chronic inflammatory states

Explanation: Robbins and Cotran pathologic basis of disease South Asia edition. *AA type of amyloid fibrills protein is derived from a unique non Ig protein made by the liver callecalled serum amyloid associated protein. *SAA protein is synthesized in the liver and circulates bound to HDL .the production of SAA protein is increased in inflammatory states.